Maximum Airway Irritation caused by:-
1. Desflurane
2. Enflurane
3. Sevoflurane
4. Halothane

Correct answer: 1. Desflurane

Explanation: Halothane Good smell, no airway irritation Isoflurane Irritant Sevoflurane Sweet smelling gas Desflurane Maximum airway irritant - Laryngospasm